Actinomycosis is caused by
1. Gram +ve filamentous Bacteria
2. Gram –ve filamentous bacteria
3. Fungi
4. None of the above

Correct answer: 1. Gram +ve filamentous Bacteria

Explanation: Actinomycosis is caused by Actinomyces israeli,, an anaerobic gram positive filamentous organism.
Microscopy reveals characteristic sulphur granules in the pus.
The four clinical forms of actinomycosis are cervico-facial (commonest), ileocaecal, thoracic and in liver.
Penicillin is the drug of choice in treating actinomycosis.